Most common type of polio is -
1. Non-paralytic polio
2. Paralytic polio
3. Abortive illness
4. Inapparent infection

Correct answer: 4. Inapparent infection

Explanation: Ans. is 'd' i.e., Inapparent infection Clinical manifestationso Incubation period -7-14 dayso After infection, one of the following responses may occur -Enapparent (subclinicat) infectiono Occurs in 95% of the infected individualso They play a dominant role in spread of infection.Minor (abortive) illnesso In 4-8% of infectionso Fever, sore throat, headach and malaiseAseptic meningitis (non-paraIytic polio)o In 1 % of infectionso Signs & symptoms of meningitisParalytic polioo In less than 1% of caseso Flaccid paralysis with absent tendon reflexes.o Most common cause of death - Respiratory paralysis.